Gas gangrene is due to
1. Alpha toxin
2. Theta toxin
3. Beta toxin
4. Delta toxin

Correct answer: 1. Alpha toxin

Explanation: The alpha-toxin is produced by all types of Clostridium perfringens and most abundantly by type A strains. This is the most important toxin biologically and is responsible for the profound toxemia of gas gangrene. It is lethal, dermonecrotic and hemolytic. It is phospholipids which, in the presence of calcium and magnesium ions, splits lecithin into phosphorylcholine and diglyceride. Reference: Textbook of Microbiology; Anathanarayan and paniker's; 10th edition; Page no: 259